Richest source of iodine -
1. Sea food
2. Milk
3. Meat
4. Butter

Correct answer: 1. Sea food

Explanation: The best source of iodine are sea foods and Cod liver oil. Smaller amount may occur in meat, milk, vegetable. REF. PARK'S TEXTBOOK OF PREVENTIVE AND SOCIAL MEDICAL 21ST EDITION. PAGE NO - 624